Hemorrhagic conjunctivitis occurs with
1. Herpes zoster
2. Herpes simplex
3. Enterovirus
4. All

Correct answer: 3. Enterovirus

Explanation: C i.e. Enterovirus Acute Haemorrhagic Conjunctivitis or Apollo Conjunctivitis or Jai Bangla Conjunctivitis or Epidemic haemorrhagic conjunctivitis is caused by picorna virus family (usually enterovirus 70)Q. But occasionally Coxsackie virus A-24 or adenovirus //Q also leads to this.